Serological pattern observed for Acute Hepatitis B, with active viral replication is:
1. HBsAg, HBeAg, IgM Anti-HBc
2. HBsAg, IgG Anti-HBc
3. HBeAg
4. HBsAg

Correct answer: 1. HBsAg, HBeAg, IgM Anti-HBc

Explanation: Hepatitis B virus expresses three antigens, viz. Corresponding antibodies produced on stimulation of immune system are: 1. HBsAg (Australia antigen) - surface antigen - 1st antigen to appear 2. HBcAg - core antigen - Rarely appears alone 3. HBeAg - Marker of infectivity, indicate active viral replication 1. Anti-HBs - Marker of end of period of communicability 2. Anti-HBc - 1st Ab to appear 3. Anti-HBe - Marker of good prognosis Serological patterns seen in Hepatitis B infection are: Condition Serological Pattern Acute Hepatitis B HBsAg, HBeAg, IgM Anti-HBc Chronic Hepatitis B, with active viral replication HbsAg, HBeAg, IgG Anti-HBc Chronic Hepatitis B, with low viral replication HbsAg, IgG Anti-HBc, Anti-HBe Recovery from Hepatitis B infection Anti-HBs, IgG Anti-HBc Post Vaccination Anti-HBs